Calculi is most commonly seen in:
1. Minor salivary gland
2. Major salivary gland
3. Parotid gland
4. Sublingual gland

Correct answer: 2. Major salivary gland

Explanation: Sialolithiasis is accumulation of obstructive calcifications within the glandular ductal system, more common in submandibular gland (90%) than the parotid gland (10%).